Root of mesentry is crossed by all except:
1. Inferior vena cava
2. Right ureter
3. 2nd Part of duodenum
4. Abdominal aorta

Correct answer: 3. 2nd Part of duodenum

Explanation: Ref: Grays Anatomy 40th edition pg:1104Explanation:Broad fan shaped me sent r\ of small intestine suspends the coils of jejenum and ileum from the posterior abdominal wallit lies along a line running diagonally from the duodenojejunal flexure on the left side of the second lumbar vertebral body to the right sacroiliac jointThe average length of the root of the mesentery is 15 cm in adultsThe root crosses overThe 3rd part of the duodenumAbdominal aortaInferior vena cavaRight ureterRight psoas major.Consequently the mesentery is usually thrown into multiple folds along its intestinal border.The average depth of the mesentery from the root to the intestinal border is 20 cm, but this varies along the length of the small intestine:- Shortest at the jejunum and terminal ileum- longestin the region of the mid ileum.Its two peritoneal layers contain the jejunum, ileum, jejunal and ileal branches of the superior mesenteric vessels, branches of the superior mesenteric plexus, lacteals and regional lymph nodes.The mesentery of the small intestine is sometimes joined to the transverse mesocolon at the duodenojejunal junction by a peritoneal band.The root of the mesentery of the small intestine is continuous with the peritoneum surrounding the appendix and caecum in the right iliac fossa.